Which area is out of the blood brain barrier
1. Thalmus
2. Cerebral cortex
3. IV ventricle
4. Area postrema

Correct answer: 4. Area postrema

Explanation: Ans. is 'd' i.e. Area Postrema There are four areas which lie outside the blood brain barrier : these areArea postremaOrganum vasculosum of the lamina terminalis (OVLT)Subfornical organ (SFO)The posterior pituitary (neurohypophysis) and the adjacent ventral part of the median eminence of the hypothalamus.These areas are also called as circumventricular organs.